Herberden's arthropathy affects:
1. Lumbar spine
2. Sacroiliac joint
3. Distal interphalangeal joint
4. Knee joint

Correct answer: 3. Distal interphalangeal joint

Explanation: Osteoarthritis of DIP is known as Heberden's nodes. Osteoarthritis of PIP is known as Bouchard's nodes Sacroiliac joint is affected in ankylosing spondylitis Knee joint is usually affected in osteoarthritis &Pseudogout